In a healthy adult scheduled for an elective operation, solid food shoulder be withheld for at least .......... hours before surgery
1. 2
2. 4
3. 6
4. 8

Correct answer: 3. 6

Explanation: Nil by mouth and regular medications Patients are advised not to take solids within 6 hours and clear fluids (isotonic drinks and water) within 2 hours before anaesthesia to avoid the risk of acid aspiration syndrome. These restrictions are further reduced in infants, as keeping hydrated reduces discomfort and is known to improve post- operative outcomes. If the surgery is delayed, oral intake of clear fluids should be allowed until 2 hours before surgery or intravenous fluids should be started, especially in vulnerable groups of patients, e.g. children, the elderly and diabetics. Patients can continue to take their specified routine medications with sips of water in the NBM period. Ref: Bailey and love 27th edition Pgno : 259